A male 15 years of age presents with hemorrhage, 5 hours after tonsillectomy. Treatment of choice is:
1. External gauze packing
2. Antibiotics and mouth wash
3. Irrigation with saline
4. Reopen immediately

Correct answer: 4. Reopen immediately

Explanation: Reactionary hemorrhage occurs within a few hours of the operation and may be severe. It may occur after operation and is treated by a return to the theater when the vessel is ligated under anesthesia. Reactionary haemorrhage mostly occurs due to dislodgement of any clot or because BP of patient comes back to normal after hypotensive anaesthesia. Secondary haemorrhage mainly occurs due to infection. Indications for blood transfusion in a case of Tonsillectomy - End-stage renal disease - Hypertension - Reduced hemoglobin and hematocrit